Complication of Wilson's disease include all except
1. Fanconi syndrome
2. Ataxia
3. Hemolytic anemia
4. Peripheral neuropathy

Correct answer: 4. Peripheral neuropathy

Explanation: Peripheral neuropathy is not a complication of Wilson's disease . The major complications in patients with untreated Wilson disease are those associated with acute liver failure, chronic hepatic dysfunction with either portal hypertension or hepatocellular carcinoma, and the sometimes-relentless course to cirrhosis, which is characterized by a progressive lassitude, fatigue, anorexia, jaundice, spider angiomas, splenomegaly, and ascites. Bleeding from varices, hepatic encephalopathy, hepatorenal syndrome, and coagulation abnormalities occur as liver failure ensues. Death occurs, generally at age 30 years, if emergent liver transplantation is not performed. Reference: GHAI Essential pediatrics, 8th edition